For removal of bacteria -
1. Rapid sand filter is more effective
2. Slow sand filter is more effective
3. Both are equally effective
4. Rapid sand filter removes 70% bacteria

Correct answer: 2. Slow sand filter is more effective

Explanation: Slow sand filters are for effective in removal of bacteria. Slow sand filters remove about 99.9- 99.99%.Rapid sand filters remove 98-99% bacterias. Slow sand filters occupy less area,operation is less skilled. Parks textbook of preventive and social medicine.K Park. Edition 23.Pg no: 714.